March fracture is ?
1. Neck of 2nd metatarsal
2. Neck of 3' metatarsal
3. Shaft of 4th metatarsal
4. Head of 5th metatarsal

Correct answer: 1. Neck of 2nd metatarsal

Explanation: Ans. is 'a' i.e., Neck of 2nd metatarsal Metatarsal stress fractures are common in distance runners and ballet dancers. The second metatarsal neck is the most likely site for stress fracture, but all metatarsals are susceptible. March fracture, also known as fatigue fracture or stress fracture of metatarsal bone, is the fracture of the distal third of one of the metatarsals occurring because of recurrent stress. It is more common in soldiers, but also occurs in hikers, organists, and even those, like hospital doctors, whose duties entail much standing. March fractures most commonly occur in the second and third metatarsal bones of the foot.